Atropine is used in following except:sx
1. Glaucoma
2. Mushroom poisoning
3. Malathion poisoning
4. Organophosphorous poisoning

Correct answer: 1. Glaucoma

Explanation: A i.e. Glaucoma